A patient lalita present with dry mouth, pupillary dilation and warm skin, the likely drug toxicity is:
1. Organo-phosphorus
2. Carbamazepine
3. Lithium
4. Amytriptyline 1:1

Correct answer: 4. Amytriptyline 1:1

Explanation: D i.e. Amitryptiline Most tricyclic anti depressants eg. imipramine, amitryptiline have potent anticholinergic side effects. So atropine is not used in treatment of amitryptiline poisoningQ